. Trendelenburg sign is positive due to the involvement of:
1. Gluteum maximus
2. Gluteus medius
3. Psoas major
4. Adductor magnus

Correct answer: 2. Gluteus medius

Explanation: Ans. B: Gluteus Medius